The period of communicability of Tetanus is
1. 7 days
2. None
3. 21 days
4. 14 days

Correct answer: 2. None